Prominent bruise with minimum force is seen in:
1. Scalp
2. Soles
3. Palm
4. Face

Correct answer: 4. Face

Explanation: Ans. Face